Auditory pathway passes through
1. Medial geniculate body
2. Lateral geniculate body
3. Reciculate formation
4. Cerebellar fornix

Correct answer: 1. Medial geniculate body